Drug that crosses placenta is :
1. Isoniazid
2. Rifampicin
3. Pyrazinamide
4. All

Correct answer: 4. All